Arlt's line are usually seen in:
1. Ocular pemphigoid
2. Trachoma
3. Vernal keratoconjunctivitis
4. Pterygium

Correct answer: 2. Trachoma

Explanation: Cicatricial trachoma linear scars may be seen in the sulcus subtarsalis, these are called Arlt'slines. Since its caused by Chlamydia trachomatis the antibiotic of choice is azithromycin. Ref: A.K KHURANA (2005), Chapter 4, "Disease of The Conjunctiva", In the book, "Opthalmology", 3rd Edition, Newdelhi, Page 90